Regarding HOCM  all are true except
1. Myocyte dissaray
2. Autosomal recessive inheritance
3. Diastolic failure
4. Bifida pulse

Correct answer: 2. Autosomal recessive inheritance

Explanation: HOCM is autosomal dominant disease